Babloo around 5 to 10 year boy presents with multiple small hypopigmented scaly macule patch on cheek. Some of his classmates also have similar lesions. The most probable diagnosis is
1. Pityriasis rosea
2. Pityriasis versicolour
3. Indeterminate leprosy
4. Pityriasis alba

Correct answer: 4. Pityriasis alba

Explanation: D i.e. Pityriasis alba